Most common mass descending mass per vaginum-
1. Labial cyst
2. Vagianl cyst
3. Myoma
4. Uterovaginal prolapse

Correct answer: 4. Uterovaginal prolapse

Explanation: Ans. is 'd' i.e., Uterovaginal prolapse o Mass descending per vaginum is a common gynaecological complaint and is most often due to uterovaginal prolapse.